Which of the following is true regarding cretinism –a) Short limbs compared to trunkb) Proportionate shorteningc) Short limbs and short statured) Short limbs and long stature
1. a
2. ac
3. ad
4. b

Correct answer: 2. ac

Explanation: "The child's growth is stunted and the extremities are short. The hands are broad and the fingers are short".
"The child appears short and stocky".